Structural proteins are:
1. Fibrous
2. Globular
3. Branched
4. Compound

Correct answer: 1. Fibrous

Explanation: A i.e. Fibrous